In deciding on a treatment for a 60 years old patient, Golu, who has chronic heart disease and rheumatoid arthritis, you wish to give him procainamide. He is already taking digoxin, hydrochlorothiazide and potassium supplementation. Which of the following is a relevant statement?
1. A possible drug interaction with digoxin suggests that digoxin blood levels should be obtained before and after starting procainamide.
2. Hyperkalemia should be avoided to reduce the likelihood of procainamide toxicity
3. Procainamide cannot be used if the patient has asthma because it has a beta blocking effect
4. Procainamide is not active by the oral route

Correct answer: 2. Hyperkalemia should be avoided to reduce the likelihood of procainamide toxicity